Gower's maneuver is classically seen in:
1. Cerebral palsy
2. Friedreich's ataxia
3. Duchenne muscular dystrophy
4. Parkinsonism

Correct answer: 3. Duchenne muscular dystrophy

Explanation: c. Duchenne muscular dystrophy(Ref: Nelson's 20/e p 2915-2985, Chai 8/e p 595-597)Gowers' sign indicates weakness of the proximal muscles, especially of the lower limb. It can be seen in Duchenne or Becker Muscular dystrophy, centronuclear myopathy and myotonic dystrophy.